KFD is transmitted by:
1. Fleas
2. Mite
3. Tick
4. Mosquito

Correct answer: 3. Tick

Explanation: Ans. c. Tick